Allen's test is useful in evaluating
1. Thoracis outlet compression
2. Presence of cervical rib
3. Integrity of palmar arch
4. Digital blood flow

Correct answer: 3. Integrity of palmar arch

Explanation: .allen's test: it is done to find out the patency of radial and ulnar arteries. both the arteries are compressed near the wrist and allowed to blanch completely in one minute(in the mean time patient closes and opens the fist several times for further venous outflow). palm appears pale and white. one of the arteries is released and colour of hand is noted. normally hand will become pink and flushed in no time; whereas in obstruction, the area will still remain pale. other artery is also released and looked for changes in hand. (Ref: SRB's Manual of Surgery, 5th edition, pg no. 173)